Residual auditory defect is a common complication in meningitis caused by –
1. Staphylococcus
2. Meningococcus
3. Escherichia coli
4. Hemophilus influenza

Correct answer: 4. Hemophilus influenza